Which is found in DiGeorge's syndrome -
1. Tetany
2. Eczema
3. Mucocutaneous candidiasis
4. Absent B and T cells

Correct answer: 1. Tetany

Explanation: DiGeorge's syndrome is a developmental defect affecting third and forth pharyngeal pouches which leads to aplasia or hypoplasia of thymus and parathyroid glands. T cells are absent or deficient in circulation. -patients show enhanced susceptibility to viral , bacterial fungal infections. - infants present with cardiac defects and neonatal tetany. Reference : Baveja text book of microbiology, 4th edition, pg no:151,152